All are vesiculo bullous lesions except-
1. Dermatitis Herpetiformis
2. Scabies / Atopic dermatitis
3. Pemphigus
4. Pemphigoid

Correct answer: 2. Scabies / Atopic dermatitis

Explanation: B. i.e. Scabies